In Transduction, the DNA transmitted by the vector to the bacteria belongs to?
1. Human cell
2. Bacteriophage
3. Another bacterium
4. Virus

Correct answer: 3. Another bacterium

Explanation: 1. Transduction is phage-mediated genetic recombination in bacteria.
2. Temperate phages are preferred vehicles for gene transfer because infection of recipient bacteria under conditions that favor lysogeny minimizes cell lysis and thus favors survival of recombinant strains.